Reactivation of TB most commonly located near:
1. Apex
2. Near bronchus
3. Subpleurally
4. Base

Correct answer: 1. Apex